Not transmitted sexually
1. Syphilis
2. T. pertenue
3. Candida
4. Gonorrhoea

Correct answer: 2. T. pertenue

Explanation: B i.e. T. pertenue Yaws ( T. pertenue) & Pinta (T.caronetum) are non veneral (not transmitted sexually)Q. These can't be differentiated from Syphilis by Serological testsQ.